Pterygium is-
1. A vascular anomaly
2. A connective tissue degeneration
3. An inflammatory condition
4. Associated with Vit. A deficiency

Correct answer: 2. A connective tissue degeneration

Explanation: Pathologically pterygium is a degenerative and hyperplastic condition of conjunctiva. The subconjunctival tissue undergoes elastotic degeneration and proliferates as vascularised granulation tissue under the epithelium, which ultimately encroaches the cornea. The corneal epithelium, Bowman's layer and superficial stroma are destroyed. ref: A K KHURANA OPHTALMOLOGY,E4, Page-80